Both glucogenic and ketogenic amino-acids are all except -
1. Phenylalanine
2. Tyrosine
3. Tryptophan
4. Leucine

Correct answer: 4. Leucine

Explanation: Ans. is 'd' i.e., Leucine